Which is not true about CTEV shoe?
1. Used only from the age the child starts walking
2. Straight outer border
3. No heel
4. Raise outer portion

Correct answer: 2. Straight outer border

Explanation: ANSWER: (B) Straight outer borderREF: Apley's 8th ed p. 488CTEV shoes: These are the modified shoes which are used only when the child starts walking. The special modifications made in these kinds of shoes are:Straight inner border in order to prevent the inward movement of the footOuter shoe raised in order to prevent foot inversionNo heel to prevent equines